Mechanism of action of fluoroquinolones is :
1. Inhibits cell wall synthesis
2. Inhibits protein synthesis
3. Inhibits DNA gyrase
4. Interferes with intermediary metabolism

Correct answer: 3. Inhibits DNA gyrase